Pancreatitis caused bya) Ascending cholangitisb) ↑ed PTHc) CBD stoned) Alcohole) Starvation
1. abc
2. acd
3. ac
4. bcd

Correct answer: 4. bcd

Explanation: Increased parathormone leads to hypercalcemia which can cause pancreatitis.